C-ANCA positivity indicates, antibody formed against-
1. Proteinase 3
2. Myeloperoxidase
3. Cytoplasmic antinuclear antibody
4. Anti centromere antibody

Correct answer: 1. Proteinase 3